The following are all residual insecticides except-
1. Pyrettmim
2. DDT
3. Gamma HHC
4. Malathion

Correct answer: 1. Pyrettmim

Explanation: Ans. is 'a' i.e., Pyrethrum